A 57 year old female underw ent total theroidectomy. Following the surgery she developed stridor and dyspoea. The possible cause is -
1. Bilateral superior laryngeal nerve injury
2. Unilateral superior laryngeal nerve injury
3. Bilateral recurrent laryngeal nerve injury
4. Unilateral recurrent laryngeal nerve injury

Correct answer: 3. Bilateral recurrent laryngeal nerve injury

Explanation: Ans. is 'c' i.e., Bilateral recurrent laryngeal nerve injury Post thyroidectomy nerve injuriesUnilateral recurrent laryngeal nerve injuryHoarseness of voiceBilateral recurrent laryngeal nerve injuryAdduction of vocal cords- difficulty in breathingsuperior laryngeal nerve injuryLoss of pitch in voice